Gold standard surgical procedure for prevention of cheonic aspiration is
1. Thyroplasty
2. Tracheostoncy
3. Tracheal diversion and permanent tracheostomy
4. feeding gastrostomy

Correct answer: 3. Tracheal diversion and permanent tracheostomy